Ameloblastoma most frequently occurs in
1. Mandibular molar region
2. Maxillary molar region
3. Mandibular premolar region
4. Maxillary premolar region

Correct answer: 1. Mandibular molar region